Leonine facies is seen in _____________ leprosy-
1. Tuberculoid
2. Borderline
3. Lepromatous
4. Borderline tuberculoid

Correct answer: 3. Lepromatous